"Sleep apnoea", is defined as a temporary pause in breathing during sleep lasting at least?
1. 40 seconds
2. 30 seconds
3. 20 seconds
4. 10 seconds

Correct answer: 4. 10 seconds

Explanation: Answer is D (10 seconds): Sleep Apnea is defined as temporary cessation of breathing for at least 10 seconds (CMDT) Sleep Apnea: Review Sleep Apnea is defined as an intermittent cessation of airflow at the nose and mouth during sleep By definition/convention breath cessation for at least 10 seconds is termed Apnea By convention sleep apnea is defined by breath cessation for at least 10 seconds. Most patients with sleep apneas have cessation for 20-30 seconds. The duration of breath cessation may be as long as 2-3 minutes. Sleep apneas can be central or obstructive Central sleep Apnea Sleep apnea occurs due to transient cessation of neural drive to all respiratory muscles Obstructive sleep Apnea Sleep Apnea occurs due to transient occlusion of the orapharyngeal airway despite continued respiratory drive